For blood and urine, preservative used is
1. Sodium chloride
2. Sodium fluoride
3. Sodium acetate
4. Sodium gluconate

Correct answer: 2. Sodium fluoride

Explanation: For blood, CSF, vitreous humor and urine, sodium fluoride is the preservative (100mg/10ml) Ref: FORENSIC MEDICINE AND TOXICOLOGY Dr PC IGNATIUS THIRD EDITION PAGE 404